The extrinsic muscles that aid in depressing the tongue are the :
1. Genioglossi and hyoglossi
2. Genioglossi and palatoglossi
3. Hyoglossi and styloglossi
4. Styloglossi and palatoglossi

Correct answer: 1. Genioglossi and hyoglossi